Most common histopathological variety of carcinoma vulva ?
1. Squamous cell carcinoma
2. Basal cell carcinoma
3. Adenocarcinoma
4. Lymphoma

Correct answer: 1. Squamous cell carcinoma

Explanation: Ans. is 'a' i.e.,Squamous cell carcinomaSquamous cell carcinomas are the most common histological type accounting for 85% of all vulval cancers.